Conservative surgical excision would be appropriate treatment and probably curative for which of the following?
1. Nodular fasciitis
2. Fibromatosis
3. Fibrosarcoma
4. Rhabdomyosarcoma

Correct answer: 1. Nodular fasciitis

Explanation: Nodular fasciitis is a rapidly developing reactive lesion that typically does not recur following excision. Fibromatosis is an aggressive nonencapsulated lesion that has significant recurrence potential. The other lesions listed are malignancies and require more than simple excision to prevent recurrence